Most common type of Onychomycosis
1. Proximal Subungual
2. Distal lateral subungual
3. Superficial white
4. Total distal

Correct answer: 2. Distal lateral subungual

Explanation: Onychomycosis is a fungal infection of nails MC site for onychomycosis: hyponychium Types 1. Distal lat.subungual onychomycosis- MC 2. Proximal subungual onychomycosis (rare)-In HIV+ patient 3. Superficial white onychomycosis4. Total dystrophic onychomycosis- it is the end result of either of the types. It is complete nail involvement.